One of the following is not a 5–HT receptor antagonist :
1. Ketanserin
2. Lanreotide
3. Methysergide
4. Tropisetron

Correct answer: 2. Lanreotide

Explanation: Lanreotide is a somatostatin analog used in acromegaly.